All are typical electron microscopic features of Alport syndrome, EXCEPT:
1. Irregular thickening of GBM
2. Multi Lamellation of the lamina densa
3. Basket weave pattern of lamina densa
4. Thickening of the renal tubules

Correct answer: 4. Thickening of the renal tubules

Explanation: Typical electron microscopic changes in Alport syndrome: 1. Irregular thickening of the GBM of up to 4 or 5 times the normal thickness, 2. Multi Lamellation of the lamina densa forming a "basket weave" pattern by inclusion of electron lucent areas, often containing round, dense granules, measuring 20-60 nm in diameter. The earliest manifestation of the GBM is irregular thinning, and the extent and severity of thickening and multi lamellation increases with age. These changes are often widespread especially in adults. Ref: Dan Med Bull 2009; 56:105-52.